Criteria for admission to burn ward are all except
1. Any suspicion of non-accidental injury
2. Any burn likely to require surgery
3. Burns on hand
4. Diabetes

Correct answer: 4. Diabetes

Explanation: The criteria for acute admission to a burns unitSuspected airway or inhalational injuryAny burn likely to require fluid resuscitationAny burn likely to require surgeryPatients with burns of any significance to the hands, face, feet or perineumPatients whose psychiatric or social background makes it inadvisable to send them homeAny suspicion of non-accidental injuryAny burn in a patient at the extremes of ageAny burn with associated potentially serious sequelae, including high-tension electrical burns and concentrated hydrofluoric acid burnsRef: Bailey and love 27e pg: 620